Most common congenital malformation seen in a diabetic pregnant woman amongst the following are :
1. Cardiac defect
2. Renal defect
3. Liver defect
4. Lung defect

Correct answer: 1. Cardiac defect

Explanation: Ans. is a i.e. Cardiac defect Cardiac anomalies are the most common single organ anomalies in case of diabetes. "The anomalies may involve skeletal, CNS, cardiac, renal, gastrointestinal and other systems. The most common being cardiac (VSD, ASD)".